The mydriatic drug with a short duration of action is:
1. Cyclopentolate
2. Tropicamide
3. Homatropine
4. Atropine

Correct answer: 2. Tropicamide